What is true for fixed prosthesis?
1. It is difficult to remove prosthesis when cemented with cement having maximum compressive strength and low tensile strength
2. It is difficult to remove prosthesis when cemented with cement having maximum compressive strength and low shear strength
3. Cement is weakest phase in fixed prosthesis
4. Increased thickness of cement will cause less flaw compared to small thickness

Correct answer: 3. Cement is weakest phase in fixed prosthesis